Iron stores are best indicated by:
1. S. ferritin
2. S. Iron
3. S. Transferrin
4. TIBC

Correct answer: 1. S. ferritin

Explanation: a. S. ferritin(Ref: Nelson's 20/e p 2323-2325, Ghai 8/e p 334-335)Serum ferritin reflects the storage of Iron which is decreased even in the pre-latent stage of Iron deficiency Anemia and is the most sensitive marker.